Antibody mediated enhancement is a feature of
1. Yellow fever
2. Dengue heomorrhagic fever
3. Omsk heomorrhagic fever
4. Japanese encephalitis

Correct answer: 2. Dengue heomorrhagic fever

Explanation: Antibody mediated enhancement is non-neutralizing antibody produced against the first serotype will combine, cover and protect the second serotype from host immune responce.seen in dengue hemorrhagic fever.